All the following features are seen in asbestosis except
1. Diffuse pulmonary interstitial fibrosis
2. Fibrous pleural thickening
3. Emphysema
4. Calcific pleural plaques

Correct answer: 3. Emphysema

Explanation: Ref Robbin's p691 Asbestosis (as-bes-TOE-sis) is a chronic lung disease caused by inhaling asbestos fibers. Prolonged exposure to these fibers can cause lung tissue scarring and shortness of breath. Asbestosis symptoms can range from mild to severe, and usually don't appear until many years after continued exposure